Shortest acting skeletal muscle relaxant is
1. Suxamethonium
2. Mivacurium
3. Pancuronium
4. Vecuronium

Correct answer: 1. Suxamethonium

Explanation: Suxamethonium (succinylcholine) is the shortest acting skeletal muscle relaxantMivacurium is the shortest acting nondepolarizing skeletal muscle relaxant.(Refer: Morgan and Mikhail's Clinical Anaesthesiology, 5th edition, pg no.205-211)